Bilateral acoustic neuroma is classical of?
1. NF - 1
2. NF - 2
3. Tuberous sclerosis
4. VHL syndrome

Correct answer: 2. NF - 2

Explanation: Bilateral accoustic neuroma is very classical of NF - 2 which occurs due to mutation in NF - 2 gene on chromosome 22.